A 5-year-old child presents with confusion, increased salivation, lacrimation, fasciculations, miosis, tachycardia, and hypotension. Which of the following poisons can cause these manifestations?
1. Opium
2. Organophosphorus
3. Dhatura
4. Organochlorine pesticide

Correct answer: 2. Organophosphorus

Explanation: Increased salivation, lacrimation, miosis, fasciculation, tachycardia and confusion, all are seen in organophosphate poisoning.